In case of blunt injury which one does not cause glaucoma :
1. Hyphema
2. Optic neuropathy
3. Uveitis
4. Angle recession

Correct answer: 2. Optic neuropathy

Explanation: Traumatic glaucoma causes
Inflammatory glaucoma due to iridocyclitis (anterior uveitis) (D-shaped pupili)
Hyphema
Angle recession
Subluxation of lens
Trabecular edema
Ghost cell glaucoma
Vasomotor reaction
Adherent glaucoma.